Hepatic encephalopathy is predisposed by-a) ↑K+b) Dehydrationc) Constipation  d) G.I. bleeding e)  S.B.P.
1. abc
2. acd
3. ac
4. bcde

Correct answer: 4. bcde